Rennin is present in ?
1. Gastric juice
2. Liver
3. Kidney
4. Lung

Correct answer: 1. Gastric juice

Explanation: Ans. is 'a' i.e., Gastric juice [Ref: Principal of Medical physiology p. 786Rennin (also called chymosin) is a proteolytic enzyme is found in gastric juice. It is synthesized by chief cells in the stomach.